Arnold nerve is a branch of:
1. Vagus nerve
2. Hypoglossal nerve
3. Glossopharyngeal nerve
4. Trigeminal nerve

Correct answer: 1. Vagus nerve

Explanation: Ans. (a) Vagus nerveRef: Dhingra's ENT 6th ed/4* Arnold's nerve is the auricular branch (also known as the mastoid branch) of the vagus nerve (CN X).* It originates from the superior ganglion of the vagus nerve* Arnold's nerve along with facial nerve innervates concha of auricle and the external acoustic meatus (posterior and inferior wall).